Which of the following types of leukemia is administered prophylactic methotrexate for CNS prophylaxis –
1. ALL
2. AML
3. CLL
4. CML

Correct answer: 1. ALL